In early AIDS infection of ELISA is negative what should be done -
1. p24 antibody
2. gp 120 antibody
3. gp 120 antigen
4. p 24 antigen

Correct answer: 4. p 24 antigen